All are type-II hypersensitivity reaction except ?
1. Hemorrhagic disease of newborn
2. Graves disease
3. Autoimmune disease
4. Hemolytic anemia

Correct answer: 1. Hemorrhagic disease of newborn

Explanation: Ans. is 'a' i.e., Hemorrhagic disease of newborn Graves disease, Autoimmune hemolytic anemia are type II hypersensitivity reactions. Hemorrhagic disease of newborn is due to vitamin K deficiency.